While playing cricket, a child broke his distal end of radius. He was put on POP. Which of the following is the late complication of Colles fracture?
1. Stiffness of wrist joint
2. Ulnar nerve palsy
3. Median nerve palsy
4. None of the above

Correct answer: 1. Stiffness of wrist joint

Explanation: Early complications of Colles fracture include, Median nerve compression Tendon damage Ulnar nerve contusion or compression Compartment syndrome Fragment displacement with loss of reduction Decreased range of motion of the wrist Prolonged swelling Late complications of Colles fracture include, Stiffness of the fingers, shoulder, or radiocarpal joint Shoulder-hand syndrome Cosmetic defects Rupture of the extensor pollicis longus Malunion Nonunion Flexor tendon adhesions Chronic pain of the radioulnar joint with supination Ref: Hosey R.G., Nikovits D.A., Rodenberg R.E., Armsey T.D., Black W. (2011). Chapter 38. Common Upper & Lower Extremity Fractures. In J.E. South-Paul, S.C. Matheny, E.L. Lewis (Eds), CURRENT Diagnosis & Treatment in Family Medicine, 3e.